Antiepileptic drug that can cause folate deficiency anemia is :
1. Valproate
2. Phenytoin
3. Phenobarbitone
4. Carbamazepine

Correct answer: 2. Phenytoin